Menisci calcification is seen with
1. Gout
2. Pseudogout
3. Hyperparathyroidism
4. Hypothyroidism

Correct answer: 2. Pseudogout